Air bronchogram sign is seen in?
1. Lung abscess
2. Consolidation
3. Cavity
4. Pneumothorax

Correct answer: 2. Consolidation

Explanation: ANSWER: (B) ConsolidationREF: Grainger 4th e p. 311, Wolfgang 5th e p. 421, chapman 4th e p. 124,142Air bronchogram is a reliable sign of intrapulmonary pathology for which consolidation is most common cause.Causes of Air BronchogramInfective* PneumoniaInflammatory* Radiation pneumonitis* Progressive massive fibrosis* Edema* Fat embolismNeoplastic* Alveolar ca* Lymphoma* Lympho sarcoma* Metastasis* Kaposi sarcomaBlood in lungs* Infarction* Contusion* DIC* anticoagulants